Findings in a case of advanced mitral stenosis include-
1. Low pulse pressure
2. LVH
3. Exercise induced angina
4. None

Correct answer: 1. Low pulse pressure

Explanation: The normal left ventricular diastolic pressure is 5 mmHg. A pressure gradient across the mitral valve of 20 mmHg due to severe mitral stenosis will cause a left atrial pressure of about 25 mmHg. With the loss of the atrial kick where has in advanced disease there is low pulse pressure Ref Davidson 23rd edition pg 434